A patient has been allegedly bitten by cobra snake. The venom in such a bite would be-
1. Musculotoxic
2. Vasculotoxic
3. Cardiotoxic
4. Neurotoxic

Correct answer: 4. Neurotoxic